Which of the following is required to bring about gluconeogenesis from pyruvate?
1. Pyruvate dehydrogenase
2. Biotin
3. Alpha ketoglutarate dehydrogenase
4. Fructose-6 phosphate

Correct answer: 2. Biotin

Explanation: Pyruvate in the cytoplasm enters the mitochondria. Then, carboxylation of pyruvate to oxaloacetate is catalysed by a mitochondrial enzyme, pyruvate carboxylase (Fig. 9.24). It needs the co-enzymes biotin and ATP.Ref: DM Vasudevan, 7th edition, page no: 118